Diabetic mellitus is characterized by:
1. Polyuria
2. Polydipsia
3. Hyperglycemia
4. All of the above

Correct answer: 4. All of the above